The cricopharyngeal sphincter is how far from the central incisor?
1. 15cm
2. 25cm
3. 40cm
4. 50cm

Correct answer: 1. 15cm

Explanation: Ans. is 'a' i.e., 15 cm * Oesophagus shows four contrictions -i) At the beginning at C6 vertebra, the first constriction of the cricopharyngeal sphinctor- 15 cm (6 inches) from incisorii) At the level of T4 vertebra where it is crossed by the aortic arch :-22.5 cm (9inches) from the incisor.iii) At the level of T6 vertebra where it is crossed by left principal bronchus 27.5 cm (11 inches) from incisoriv) At the level of T10 vertebra, its passage through esophageal hiatus of diaphram (lower esophageal sphincter:- 37.5-40 cm (15-16 inches) from incisor